True about papilloma is all except:
1. Solitary is more common in adults and most common presentation is change in voice
2. Solitary type is more aggressive, prognosis is bad and malignant transformation is common
3. Multiple type is more common in children and most common presentation is hoarse cry
4. Early treatment leads to better results in multiple type

Correct answer: 2. Solitary type is more aggressive, prognosis is bad and malignant transformation is common

Explanation: (b) Solitary type is more aggressive, prognosis is bad and malignant transformation is common(Ref. Cummings, 6th ed., 923)Solitary type which is more common in adults is less aggressive (no stridor) and malignant transformation is rare.Early treatment will prevent stridor and therefore better results in multiple type in children. Rest are true.